Cast perforated resin retained FPD for posterior teeth was first described by
1. Rochette
2. Livaditis
3. Tanaka
4. Thompson

Correct answer: 2. Livaditis

Explanation: This concept was expanded to replacement of posterior teeth by Livaditis. Perforated retainers were used to increase resistance and retention.